Anti-influenza drug which is/are given through inhalation route ?
1. Amantadine
2. Oseltamivir
3. Zanamivir
4. Rimantadine

Correct answer: 3. Zanamivir

Explanation: Ans. C. ZanamivirAnti-influenza drugsAmantadine, rimantadine, oseltamivir and zanamivir.Only zanamivir is given by parenteral route (intranasd or intravenous). all others are given orally.Zanamivir has lowest oral bioavailability lowest t1/2 (shortest acting).Rimantadine has maximum plasma protein binding, while oseltamivir has minimum plasma protein binding.Rimantadine has maximum metabolism.